Exhibitionism is punishable under
1. 294 IPC
2. 293 IPC
3. 292 IPC
4. 304 IPC

Correct answer: 1. 294 IPC

Explanation: 294 IPC - Obscene acts and songs - 3 months with or without fine or both 293 IPC - Sale of obscene objects to young person 292 IPC - Sale of obscene books, etc 304 IPC - Punishment for culpable homicide not amounting to murder